Deriving sexual pleasure by seeing or touching inanimate objects of the opposite sex is
1. Fetichism
2. Voyeurism
3. Masochism
4. Tribadism

Correct answer: 1. Fetichism

Explanation: FETISHISM The hallmark of fetishism is long-standing compulsive sexual interest in nonliving objects that are used to generate sexual excitement. In the ordinary human life, males do report having interest and attraction to object worn by their sexual partners such as brassieres, panties, garter belts, hose, and boots/socks, etc. However, fetishism is an extreme exaggeration of an attachment to objects and the individual may go to extremes to obtain fetishistic objects (e.g., breaking into houses to steal the things/objects). As the fetish object becomes more ingrained in an individual's sexual arousal pattern, he may hold or fondle with fetish object items and may masturbate in them. A fetichist who is fascinated by female hair may follow females with long hair and resort to cutting them. In extreme cases, relationship of fetishist with the fetish objects may become dominant, with conflict usually erupting between the partners as to the extent of intrusion of the fetish object Ref : Krishnan vij Textbook of Forensic medicine and Toxicology 5th edtion ; pg no - 425